Immunoglobulin changes in variable region-
1. Idiotype
2. Isotype
3. Allotype
4. Epitope

Correct answer: 1. Idiotype

Explanation: Variability of amino acid sequences at the variable regions form the specific antigen binding site, i.e. idiotype.
 
The aminoacid sequences of the variable regions arc not uniformly variable along their length, but consist of relatively invariable and some highly variable zones. The highly variable zones are involved with the formation of antigen binding sites. The sites on the hyervariable regions that make actual contact with the epitopes are called "complementarity determining regions (CDRs)
 
"The idiotype is defined as the specific region of the fab portion of the Ig molecule to which antigen binds".
 
The infinite range of the antibody specificity of immunoglobulin depends on the variability of the aminoacid sequences at the variable regions of the H and L chains which form the antigen combining sites.